NaF is used in which color cap vacutainer?
1. Grey
2. Yellow
3. Red
4. Blue

Correct answer: 1. Grey

Explanation: Ans. A. GreyHemogard stopperTube contentDetermination Serum separator tube (SST)All biochemistry not mentioned elsewhere (1 tube), microbiology (1 tube)HeparinChromosome studies, lead, amino acids, troponinFluoride/ oxalateGlucoseEDTAFull blood count (FBC) and ESR, C3/C4,Hemoglobin A1c, Homocysteine, ACTHPlain (no additive)LDH, Ca, drugs (phenytoin, theophylline, lithium), endocrine testing (except thyroid) Sodim citrateCoagulation testing, PT, INR, APTT, D-dimer, etc.ESRWestergren sedimentation rate; requires full draw